Best chemical disinfectant to disinfect stethoscope:
1. Isopropyl alcohol
2. Ethylene oxide
3. Halogenated compound
4. Plasma sterilization

Correct answer: 1. Isopropyl alcohol

Explanation: Ans. A. Isopropyl alcoholMedical devices require disinfection as per Spaulding criteria of criticality according to degree of risk for infection involved in use of these items. Stethoscope is a non-critical device requiring intermediate-low level disinfectant. Isopropyl alcohol can be routinely used for disinfection of stethoscope.